Surgical resection is carried out in 68-year woman with uterine cancer. This cancer can spread directly to labia majora in lymphatics that follow which of the following structures?
1. Pubic arcuate ligament
2. Suspensory ligament of the ovary
3. Cardinal (transverse cervical) ligament
4. Round ligament of the uterus

Correct answer: 4. Round ligament of the uterus

Explanation: Round ligament of uterus runs laterally from the uterus through deep inguinal ring, inguinal canal, and superficial inguinal ring and becomes lost in the subcutaneous tissues of the labium majus. Thus, carcinoma of the uterus can spread directly to the labium majus by traveling in lymphatics that follow the ligament. --The pubic arcuate ligament attaches across the inferior aspect of pubic symphysis and attaches to medial borders of the inferior pubic rami. --The suspensory ligament of the ovary runs from ovary to pelvic wall and transmits the ovarian vessels. --The cardinal (transverse cervical) ligament runs from the cervix and the vagina to pelvic walls. --The suspensory ligament of clitoris runs from pubic symphysis and arcuate pubic ligament to deep fascia of the body of the clitoris.